Commonest malignancy type in oral cavity is:
1. Adenocarcinoma
2. Transitional cell carcinoma
3. Squamous cell carcinoma
4. Basal cell carcinoma

Correct answer: 3. Squamous cell carcinoma

Explanation: Ans. C: Squamous cell carcinoma